Which of these is a water soluble vitamin?
1. Vitamin A
2. Vitamin B12
3. Vitamin D
4. Vitamin E

Correct answer: 2. Vitamin B12